In which of the following conditions Parakeratosis most frequently occurs?
1. Actinic keratoses
2. Seborrheic keratoses
3. Molluscum contagiosum
4. Basal cell carcinoma

Correct answer: 1. Actinic keratoses

Explanation: Parakeratosis - retention of nucleus in stratum corneum It represents a disturbance of keratinization Commonly seen in many different forms of inflammatory dermatosis, and is closely associated either with increased epidermal cell turnover or with inflammatory changes in the epidermis itself. Parakeratosis is seen in; PEA'S2 -Psoriasis -Eczema -Actinic keratosis -Seborrheic dermatitis -Squamous cell carcinoma